Gold standard investigation for stone in bile-duct is-
1. USG
2. ERCP
3. CT scan
4. MRI

Correct answer: 2. ERCP